Which nerve is involved in Saturday night palsy -
1. Axillary
2. Ulnar
3. Median
4. Radial

Correct answer: 4. Radial

Explanation: Ans. is 'd' i.e., Radial Saturday night palsy (weekend palsy)o In this condition, there is compression of the radial nerve between spiral groove and the lateral intermuscular septum.o It is known after an event which typically happens on a Saturday night weekend when in an inebriated condition, a person slump with his mid-arm compressed between the arm of the chair and his body.